The number of Fe++ atoms in one Hb molecule
1. 1
2. 2
3. 4
4. 8

Correct answer: 3. 4

Explanation: Hemoglobin is a globular molecule made up of four subunits. Each subunit contains a heme moiety conjugated to a polypeptide. Heme is an iron-containing porphyrin derivative.
So, hemoglobin = 4 globins + 4 heme groups Since each heme molecule contains an iron, so total iron atoms present in hemoglobin are 4 in number.
70% of the iron in the body is in hemoglobin, 3% in myoglobin, and the rest in ferritin, which is present not only in enterocytes, but also in many other cells.